True regarding development of heart is/are A/E
1. Dorsal mesocardium forms transverse pericardial sinus
2. Myosites arise from splanchopleuric mesoderm
3. Purkinje fibers develop from somatopleuric mesoderm
4. Neural crest cells have role in development of muscular sub pulmonary infundibulum

Correct answer: 3. Purkinje fibers develop from somatopleuric mesoderm

Explanation: C i.e. Purkinje fibers develop from somatopleuric mesoderm